Glossopharyngeal nerve supplies posterior part of tongue because it develops from:
1. Hyoid arch
2. Tuberculum impar
3. Mandibular arch
4. Hypobranchial eminence

Correct answer: 4. Hypobranchial eminence